True of panic disorder:
1. It is characterized by recurrent and unpredictable panic attacks
2. The panic attacks always occur in specific situation
3. Automatic symptoms are rare in panic disorder
4. The panic attacks evolve very slowly

Correct answer: 1. It is characterized by recurrent and unpredictable panic attacks

Explanation: Ans. It is characterized by recurrent and unpredictable panic attacks